All are true about anterior compartment of leg except
1. Tibialis anterior causes dorsiflexion of foot
2. EHL causes extension of MTP joint of big toe
3. Peroneus longus causes eversion of foot
4. Nerve supply is through deep peroneal nerve

Correct answer: 3. Peroneus longus causes eversion of foot

Explanation: ANTERIOR COMPARTMENT( leg):- Muscles:- 1. Tibialis anterior 2. Extensor hallucis longus 3. Extensor digitorum longus 4. Peroneus tertius. Artery:anterior tibial artery.The blood supply of anterior compartment is reinforced by the perforating branch of peroneal artery. Nerve:-Deep peroneal nerve. Muscle action:- 1. Tibialis anterior-Dorsiflexor of foot,invertor of foot,keeps leg vertical while walking on uneven ground, maintain medial longitudinal arch of foot. 2. EHL:- Dorsiflexor of foot,extends metatarsophalangeal and interphalangeal joint of big toe. 3. EDL:- Dorsiflexor of foot,extends metatarsophalangeal ,proximal and distal interphalangeal joint of 2nd-5th toe. 4. Peroneus tertius-Dorsiflexor and evertor of foot. 5. Extensor digitorum longus-medial tendon known as the extensor hallucis brevis,extends metatarsophalangeal joint of big toe.The other three lateral tendon extends the metatarsophalangeal and interphalangeal joints of 2 nd 3 rd and 4 th toe particularly in dorsiflexed foot. Peroneus longus is muscle of lateral compartment. {Reference: BDC 6E}